Frequent dislocation of TMJ is due to
1. Spasm of muscles of mastication
2. The articular eminence being smaller
3. Decreased free way space
4. All of the above

Correct answer: 2. The articular eminence being smaller